All the following are true about cow's milk Except
1. Cow's milk contains 80% whey protein not casein
2. Cow milk has less carbohydrate than mothers milk
3. Has more K+ and Na+ than infant formula feeds
4. Has more protein than breast milk

Correct answer: 1. Cow's milk contains 80% whey protein not casein

Explanation: Human milk contains only 1-1.5% protein compared with approximately 3.3% in cow's milk.The increased protein of cow's milk results almost entirely from its 6 fold higher content of casein. Human milk protein consists of approximately 75% whey proteins & 25% casein; The cow's milk ratio is reversed to 22:78. Ref: Page 156; Nelson textbook of pediatrics; 20th edition